Resorption of thick margins resulting in plateau formation is called as
1. Crater
2. Ledge
3. Lipping
4. Trauma from oclusion

Correct answer: 2. Ledge